Compared to follicular Ca, papillary Ca of thyroid associared with
1. More male preponderance
2. Radiation exposure
3. Iodine deficiency
4. Increased mortality

Correct answer: 2. Radiation exposure

Explanation: Papillary carcinoma thyroid is more seen in radiation exposure, and also has high lymph node involvement. Follicular thyroid carcinoma is associated with iodine deficiency. It has hematogenous spread and comparitively a less otable outcome Both are common in females.